Use of Doxycycline hyclate 20 mg. for a period of time forms
1. Prophylactic antimicrobial therapy
2. Systemic antimicrobial therapy
3. Host modulation therapy
4. Local drug delivery

Correct answer: 3. Host modulation therapy